Indicator used in Macconkey medium
1. Methyl violet
2. Gentian violet
3. Neutral red
4. Carbol fuschin

Correct answer: 3. Neutral red

Explanation: Macconkey's medium contains peptone, Lactose, agar, neutral red and taurocholate.